Most common mutation in hereditary elliptocytosis
1. Spectrin
2. Ankyrin
3. Glycophorin A
4. Band 4.2

Correct answer: 1. Spectrin

Explanation: - Most common mutation in hereditory elliptocytosis - Spectrin - Inherited as Autosomal Dominant manner - In Spectrin mutations, the most common RBC abnormality is Hereditary Elliptocytosis > spherocytosis.